Atypical lymphocytes in infectious mononucleosis are made up of:
1. CD4+ cells
2. CD8 + T cells
3. Plasma cells
4. NK cells

Correct answer: 2. CD8 + T cells